Following does not assist in locating Root canal Orifices?
1. H2O2
2. NaOCl
3. DG 16 endodontic probe
4. Dentinal Map

Correct answer: 1. H2O2

Explanation: NaOCl is used in Champagne Bubble test. DG 16 is endodontic explorer